Destruction of ovaries prior to 7th week following fertilization results in:
1. Pseudohermaphroditism
2. Uterine agenesis
3. Masculinisation
4. None of the above

Correct answer: 4. None of the above

Explanation: In females: If ovaries are destructed prior to 7 weeks then it will lead to decrease in estrogen so secondary sexual characteristics in female will not develop, and she will complain of amenorrhea. Uterus develops from mullerian duct, hence uterus will be present (i.e. option b incorrect) but underdeveloped (infantile) due to lack of estrogen.
Pseudohermaphroditism in females means Gonads are ovaries but external genitalia are of male. External genitalia of male is due to exposure of androgens in females at early stages of development, and not because of absence of ovaries hence both option a and c are incorrect.